Sphenoidal sinus drains into ?
1. Superior meatus
2. Inferior meatus
3. Middle meatus
4. Sphenoethmoidal recess

Correct answer: 4. Sphenoethmoidal recess

Explanation: Ans. is 'd' i.e., Sphenoethmoidal recess Part of lateral nasal wall Openings Inferior Nasolacrimal duct Middle Frontal sinus, Maxillary sinus, Anterior ethmoidal sinus Superior Posterior ethmoidal sinus Sphenoethmoidal recess Sphenoid sinus